Which of the following drugs is not used in the treatment of leprosy ?
1. Rifampicin
2. Dapsone
3. Kanamycin
4. Clofazimine

Correct answer: 3. Kanamycin